Drug of choice for treatment of neurocysticercosis is:-
1. Pyrantel palmoate
2. Praziquantel
3. Albendazole
4. Ivermectin

Correct answer: 3. Albendazole

Explanation: Both praziquantal and albendazole are effective against neurocysticercosis. Albendazole is preferred because of its more efficacy and lesser duration of treatment